Which of the following is a feature of triple deformity of the knee joint?
1. Posterior subluxation of tibia
2. internal rotation of tibia
3. Medial angulation of tibia
4. Recurvatum

Correct answer: 1. Posterior subluxation of tibia

Explanation: Triple deformity of knee refers to:-Flexion of kneeExternal rotation of the tibiaPosterior subluxation of the tibiaThe triple deformity is seen in RA, TB of knee and Polio(Refer: Mohindra's Fundamentals of Orthopedics, 2nd edition, pg no. 528)